In Tarnow's technique, the method described for denuded root surface is
1. Semilunar coronally repositioned flap
2. Split thickness coronally repositioned flap
3. Free soft tissue autograft
4. Subepithelial connective flap

Correct answer: 1. Semilunar coronally repositioned flap